In right lateral rectus palsy all of the following are seen except
1. Face turned to left
2. Medial convergent squint.
3. Inability to abduct right eye.
4. Diplopia

Correct answer: 1. Face turned to left

Explanation: A i.e. Face turned to left